Incised wound which is not a feature ?
1. Length is the greatest dimention
2. Width is more than the thickness of the blade
3. Margins are inverted
4. Hesitation cuts are seen in suicidal attempt

Correct answer: 3. Margins are inverted

Explanation: Ans. is 'c' i.e., Margins are inverted Margins are everted, clear, and clean cut.